Blue sclera is seen in –a) Alkaptonuriab) Osteogenesis imperfectac) Ehler – Danlos syndromed) Kawasaki syndrome
1. a
2. c
3. bc
4. ad

Correct answer: 3. bc

Explanation: Causes of blue sclera are Osteogenesis iniperfecta, Marfan syndrome, Ehler - Danlos syndrome, Pseudoxanthoma elasticum.